Traumatic diaphragmatic injury except
1. Left side rupture d\/t weak left hemidiaphragm at point of entry of embryonic origin
2. Most commonly due to trauma
3. Smaller tear - heal spontaneously & surgery is not required
4. Abdominal approach is the most favoured

Correct answer: 3. Smaller tear - heal spontaneously & surgery is not required

Explanation: All diaphramatic injuries must be repaired to avoid the long term potential for herniation, incarceration and strangulation of abdominal viscera. Reference: Greenfield's Surgey- Scientific Principles and practices., 5th edition, Pg no: 390- 391.